Most common cause of death in burns patients is
1. Septic shock
2. Cardiac arrest
3. Hypovolemic shock
4. Asphyxia

Correct answer: 1. Septic shock

Explanation: Septic shock is most common cause of death.
Asphyxia is MCC death in immediate phase of burns.